Which of the following is first formed after tooth brushing
1. Materia alba
2. Plaque
3. Pellicle
4. Calculus

Correct answer: 3. Pellicle